All of the following method used for detecting heavy metals, except -
1. Harrison & Gilroy test
2. Paraffin test
3. Neutron activation analysis
4. Atomic adsorption spectroscopy

Correct answer: 2. Paraffin test

Explanation: Tests used in firearm discharge


Based on detection of nitrate : Dermal nitrite (Paraffin) test.
Based on detection of heavy metal: Harrison and Gilroy test, neutron activation analysis, Atomic absorption spectroscopy, and flameless atomic absorption spectroscopy.